The cataract seen in patients with CTG/CUG trinucleotide repeats is
1. Snow flake cataract
2. True exfoliation cataract
3. Christmas tree cataract
4. None of the above

Correct answer: 3. Christmas tree cataract

Explanation: MYOTONIC DYSTROPHY: CTG/ CUG trinucleotide repeats are seen in myotonic dystrophy. Characteristic cataract may develop with myotonic dystrophy and may be the early feature. In a sharply limited zone of cortex underneath the capsule both anteriorly and posteriorly, fine dust like opacities appear interspersed with tiny iridescent spots. The polychromatic dots and flakes in the superficial cortex resemble a 'CHRISTMAS TREE' in appearance. Ref:- Parsons disease s of eye,pg num:-269. Lippincott biochemistry.